Mikulicz cell & Russell bodies are seen in
1. Rhinoscleroma
2. Rhinophyma
3. Rhinosporidiosis
4. Plasma cel1 disorder

Correct answer: 1. Rhinoscleroma

Explanation: (Refer: PL Dhingra, Textbook of Ear, Nose, Throat, 6thedition,pg no: 156)Granulomatous disease of the nose BacterialFungalUnspecified causeRhinoscleroma Syphilis TuberculosisLupusLeprosy RhinosporidiosisAspergillosis Mucormycosis CandidiasisHistoplasmosis Blastomycosis Wegner's granulomatosisNon-healing midline granuloma Sarcoidosis Churg Strauss syndrome Rhinoscleroma Agent - Klebsiella rhinoscleromatisSite - nose , nasopharynx, oropharynx, larynx, trachea, bronchi Atrophic stageFoul smelling purulent nasal dischargeGranulomatous stage Subdermal infiltration of lower part of external nose & upper lip - woody feelRubbery nodules - Tapir nose Cicatricial stage Stenosis of nares Distortion of upper lip Adhesions of nose, nasopharynx , oropharynx Subglottic stenosisNose deformity - Hebra nose Soft palate deformity - Gothic arch deformity Diagnosis Biopsy - infiltration of submucosa with plasma cells, lymphocytes, eosinophils, Mikulicz cells ( large foam cells with central nucleus & vacuolated cytoplasm containing causative bacilli ) &Russellbodies(homogenous eosinophilic inclusion bodies found in plasma cells)The culture of the organism Treatment - Streptomycin (1g/day) & tetracycline (2g/day) for 4 - 6 weeks